Which medium of storage for avulsed tooth is best for
prolonged extra oral periods?
1. Hank's Balanced salt solution
2. Milk
3. Distilled water
4. Saliva

Correct answer: 1. Hank's Balanced salt solution